Which of the following is most specific for cholestasis
1. ALT
2. AST
3. GGT
4. 5I nucleotidase

Correct answer: 4. 5I nucleotidase

Explanation: It is most specific for cholestasis and cholestatic damage.